Consider the following modalities of treatment 1. Balloon dilatation 2. Heller's operation 3. Local injection of botulinum toxin Which of the above is/are the treatment modalities for achalasia cardia?
1. 1 only
2. 1 and 2 only
3. 2 and 3 only
4. ) 1, 2 and 3

Correct answer: 4. ) 1, 2 and 3

Explanation: Davidson's principles and practice of medicine 22nd edition. *endoscopically directed injection of botulinum toxin into the lower oesophageal sphincter induces clinical remission but relapse is common. *Surgical myotomy or Heller's operation performed eitheeither laproscopically or as an open operation is effective. *Balloon catheter dialatatin improves symptoms in 80% cases